Most common type of thyroid cancer is:
1. Papillary carcinoma
2. Follicular carcinoma
3. Anaplastic carcinoma
4. Medullary carcinoma

Correct answer: 1. Papillary carcinoma

Explanation: Thyroid carcinomas in order of prevalence: Papillary carcinoma (> 85% cases)- most common type of thyroid cancer. Follicular carcinoma (5%-15% cases) Medullary carcinoma (5% cases) Anaplastic carcinoma (<5% cases)